A 69 year old male patient having coronary Artery disease was found to have gallbladder stones while undergoing a routine ultrasound of the abdomen. There was no history of biliary colic or jaundice at any time. What is the best treatment advice for such a patient for his gallbladder stones
1. Open cholecystectomy
2. Laparoscopic cholecystectomy
3. No surgery for gallbladder stones
4. ERCP and removal of gallbladder stones

Correct answer: 3. No surgery for gallbladder stones

Explanation: There is no clear cost benfit and no life-years gained from prophylactic Cholecystectomy, indicating no clear-cut advantages of prophylactic Cholecystectomy in asymptomatic cholelithiasis. As a result, in patients with asymptomatic gallstones, expectant mangement is recommended Ref: Blumgart 5th edition Pgno : 486